In cystic fibrosis, pseudomonas aeroginosa is most common arganism. The next most common is
1. Steptococci
2. Klebsiella
3. Pnuemococci
4. Staphylococcus aureus

Correct answer: 4. Staphylococcus aureus